Pancreatic duct joins Common Bile Duct and open into which part of duodenum?
1. Superior
2. Ascending
3. Descending
4. Inferior

Correct answer: 3. Descending

Explanation: (C) Descending # Common bile duct & pancreatic duct enter the medial wall obliquely and usually unite to form the common hepatopancreatic ampulla.> Narrow distal end opens on the summit of the major duodenal papilla (ampulla of Vater), which is situated on the postero- medial wall of the second part or descending part of duodenum.